ACTH secretion is highest during
1. Noon
2. Evening
3. Morning
4. Night

Correct answer: 3. Morning

Explanation: High levels of ACTH are detected by the adrenal gland receptors which stimulate the secretion of cortisol, causing blood levels of cortisol to rise. As the cortisol levels rise, they start to slow down the release of corticotrophin-releasing hormone from the hypothalamus and ACTH from the pituitary gland. Ref : Nelson